The chance that a health worker gets HIV from an accidental needle prick is-
1. 1%
2. 10%
3. 95%
4. 100%

Correct answer: 1. 1%

Explanation: Ans. is 'a' i.e., 1% o Risk of transmission after different route varies, i.e. chances of transmission of HIV per exposure : Blood and blood products have highest risk (> 90%) > tissue and organ donation (50-90%) > mother to child transmission (30%) > Needle and sharp instruments (0[?]5-1%) > sexual intercourse (0[?]1-1%).